Folic acid required in first trimester of normal pregnancy -
1. 100 microgram
2. 400 microgram
3. 4 mg
4. 5 mg

Correct answer: 2. 400 microgram

Explanation: Ans. is 'b' i.e., 400 microgram * Some NTDs are associated with a specific mutation in the methylene tetrahydrofolate reductase gene, the adverse effects of which can be largely overcome by periconceptional folic acid supplementation.* More than half of NTDs could be prevented with daily intake of 400 pgm of folic acid throughout the periconceptional period.* A woman with a prior pregnancy complicated by a neural tube defect can reduce the 23% recurrence risk by more than 70% if she takes 4 mg of folic acid for the month before conception and for the first trimester of pregnancy.